Most common site of curling's ulcer?
1. Proximal Duodenum
2. Esophagus
3. Distal duodenum
4. D. jujenum

Correct answer: 1. Proximal Duodenum

Explanation: Ans. (a) Proximal duodenum(Ref: Robbins 9th/pg 762)Curling ulcers-Ulcers occurring in the proximal duodenum and associated with severe burns or trauma